Hepatolenticular degeneration is seen with deposition of
1. cadmium
2. Lead
3. aluminium
4. copper

Correct answer: 4. copper